An old woman, Nanda suffered stroke for which she was given alteplase. She improved considerably. To prevent the recurrence of stroke, this patient is most likely to be treated indefinitely with :
1. Aspirin
2. Warfarin
3. Urokinase
4. Enoxaparin

Correct answer: 1. Aspirin